Patient's relative gives a history of tattoo, however it was not found during autopsy. What should be dissected to find it:
1. Lymph node
2. Skin
3. Spleen
4. Kidney

Correct answer: 1. Lymph node

Explanation: Ans. Lymph node